Which is not an indication for I/V Ig?
1. ITP
2. Kawasaki disease
3. Acute infective polyneuritis
4. SLE

Correct answer: 4. SLE

Explanation: There is no role of IV gamma globulin' in SLE. It responds to steroids and NSAIDs. The mechanism of action of IVIG in Kawasaki disease is unknown. However treatment results in rapid defervescence and resolution of clinical signs of illness in most patients. IVIG reduces the prevalence of coronary disease from 20 -25% in children treated with aspirin alone to 2-4% in those treated with IVIG and aspirin within the first 10 days of illness. Intravenous immunoglobulin (IVIG) in a dose of 0.8 to 1 g/kg/day x 1-2 day induces a rapid rise in platelet count (usually >20 x 109 IL) in 95% of patients within 48 hours in a patient of ITP. Rapidly progressive ascending paralysis in acute infective polyneuritis (GBS) is treated with intravenous immunoglobulin (IVlg), administered for 2, 3 or 5 days.